The second most common skull radiograph used in dentistry is:
1. Lateral Cephalometric Projection
2. PA Cephalometric Projection
3. Both
4. None

Correct answer: 2. PA Cephalometric Projection

Explanation: Lateral Cephalometric Projection is the most common extraoral skull radiograph.